Which of the following drug doesn't act on thyroid-
1. Propranolol
2. Propylthiuracil
3. Sodium iodide
4. Thiocyanote

Correct answer: 1. Propranolol

Explanation: Ans. is 'a' i.e., Propranolol Thyroid inhibitorsInhibit hormone synthesis (antithyroid drugs)o Propylthiouracilo Methimazoleo CarbimazoleInhibit iodine trapping (ionic inhibitors)o Thiocyanateso Perchlorateso NitratesInhibit hormone releaseo Iodineo NaIo KIDestroy thyroid tissueo Radioactive iodineo Propranolol inhibits peripheral conversion of T4 and T3 in blood (but it does not act on thyroid gland).